International prognostic index for lymphomas includes the following prognostic factors, EXCEPT:
1. Stage of disease
2. Number of extralymphatic sites involved
3. LDH
4. Hemoglobin and albumin

Correct answer: 4. Hemoglobin and albumin

Explanation: International prognostic index for Non Hodgkins lymphoma icludes stage of the disease, serum LDH level, extranodal site involvement, age of the patient and performance status.